All of the following are true about cleft lip and palate except:
1. Associated with Treacher-Collins' syndromes
2. Cleft lip with cleft palate is most common type
3. Pierre Robin sequence is the most common syndrome
4. Isolated cleft palate can be diagnosed by ultrasound after 28 weeks gestation

Correct answer: 4. Isolated cleft palate can be diagnosed by ultrasound after 28 weeks gestation

Explanation: - Incidence of cleft lip & palate is 1:600 live births - Incidence of isolated clef palate is 1:1000 live births Distribution - In unilateral cleft lip the deformity affects the left side in 60% of cases Typical distribution of Cleft types - Cleft lip alone 15% -Cleft lip & palate: 45% (MC) -Isolated cleft palate: 40% Note: - Isolated cleft palate can be diagnosed by ultrasound after 18 weeks gestation Associated Syndromes: - Although most clefts of the lip and palate occur as an isolated deformity, Pierre Robin Sequence remains the most common syndrome. - Other associated syndromes Stickler's (ophthalmic and musculoskeletal abnormalities) Sphrintzen's (cardiac anomalies), Down's, Apert's and Treacher-Collins' syndromes